Phagocytosis was discovered by?
1. Elie Metchinkoff
2. Aulus Cornelius Celsus.
3. RudolfVirchow
4. Emil Adolf von Behring

Correct answer: 1. Elie Metchinkoff

Explanation: “The discovery ofphagocytosis by Elie Metchinkoff marks the birth of immunology”.